1st meiotic division of oogenesis gets arrested at
1. Diplotene stage of prophase
2. Pachytene stage of prophase
3. Leptotene stage of prophase
4. Metaphase stage of prophase

Correct answer: 1. Diplotene stage of prophase

Explanation: The germ cell reach gonadal ridge by the 6th week to form oogonia which multiply by mitosis
By 12th week the oogonia are arranged in clusters and are covered by a layer of follicular cells to form the primordial follicle
The oogonia enter into the1st meiotic division but are arrested in diplotene stage of prophase and doesn't enter into metaphase but rest until puberty